Gonadotrophins remain elevated after menopause for :
1. 2 years
2. 5 years
3. 10 years
4. Rest of life

Correct answer: 4. Rest of life

Explanation: Rest of life